Multiple punched out lesions in X- ray skull are seen in:
1. Meningioma
2. Sturge weber syndrome
3. Myeloma
4. Neurofibroma

Correct answer: 3. Myeloma

Explanation: Myeloma